Which ion channel is effected in hypokalemic periodic paralysis?
1. K+
2. Na+
3. CI-
4. Ca2+

Correct answer: 4. Ca2+

Explanation: Hypokalemic periodic paralysis is due to calcium channel mutations. Hypokalemic periodic paralysis, in which serum potassium drops during a paralytic episode, is the most common of the inherited periodic paralyses. Ref Davidson 23rd edition pg 366